Bifurcation of trachea is at which level:
1. Opposite the disc between the T3-T4 vertebrae
2. Opposite the disc between the T5-T6 vertebrae
3. Opposite the disc between the T4-T5 vertebrae
4. Opposite the disc between the T7-T8 vertebrae

Correct answer: 3. Opposite the disc between the T4-T5 vertebrae

Explanation: The trachea begins in the neck as a continuation of the larynx at the lower border of the cricoid cartilage at the level of the sixth cervical vertebra.In the cadaver, trachea ends below at the carina by dividing into right and left principal (main) bronchi at the level of the sternal angle (opposite the disc between the fourth and fifth thoracic vertebrae).In living subjects, in the erect posture, the bifurcation lies at the lower border of the sixth thoracic vertebra.In adults the trachea is about 10-15 cm long and 2 cm in diameter.The fibroelastic tube is kept patent by the presence of U-shaped bars (rings) of hyaline cartilage embedded in its wall.The posterior free ends of the cartilage are connected by smooth muscle, the trachealis muscle.